The inorganic component of subgingival plaque is derived from
1. Saliva
2. Gingival crevicular fluid
3. Inorganic matter of tooth
4. Food debris

Correct answer: 2. Gingival crevicular fluid